70 year old man with Ca.prostate with osteoblastic secondaries in pelvis and lumbar vertebra showed well differentiated Adeno Carcinoma prostate on needle biopsy. He is idealy treated by -
1. Radical prostectomy
2. TURP
3. Radiation
4. Hormonal manipulation

Correct answer: 4. Hormonal manipulation